Fear of darkness is called:
1. Nyctophobia
2. Mysophohbia
3. Claustrophobia
4. Agarophobia

Correct answer: 1. Nyctophobia

Explanation: Ans. (A). Nyctophobia(Ref: Essentials of Forensic medicine, Dr KS narayana Reddy, 33th Edition, P: 482)Acrophobia is morbid fear of high places.Agarophobia is fear of being in a large open space.Nyctophobia is morbid fear of darkness.Claustrophobia is fear of staying in a closed or confined space.Mysophobia is morbid fear of filth or contamination.Xenophobia is fear of strangers.